Which is the most common cause of bowel obstruction
1. Hernia
2. Ulcers causing obstruction
3. Adhesions
4. Structure

Correct answer: 3. Adhesions

Explanation: Adhesion will cause dynamic bowel obstruction